A victim of Tsunami has difficulty in overcoming the experience. She still recollects the happening in dreams and thoughts. The most likely diagnosis is :
1. Post traumatic stress disorder
2. Conversion disorder
3. Panic disorder
4. Phobia

Correct answer: 1. Post traumatic stress disorder

Explanation: Recollection of the happening in dreams & thought after a life threatening event suggests the diagnosis of PTSD.